Angular movements are sensed by -
1. Cochlea
2. Saccule
3. Utricle
4. Semicircular canals

Correct answer: 4. Semicircular canals

Explanation: Coriolis effect – It is a specific type of angular acceleration (i.e. sensed by semicircular ducts) that causes motion sickness in space craft due to rotation of earth.
Type I cells correspond to the inner hair cells of organ of Corti and Type II cells correspond to the outer hair cells.